Prophylaxis for migraine
1. Sumitriptan
2. Amytriptiline
3. Nifidipine
4. Diazepam

Correct answer: 2. Amytriptiline

Explanation: K.D Tripathy essentials of medical pharmacology 7th edition . *Drugs for prophylaxis of migraine are beta blockers(propranalol ),TCA(amitriptyline ), calciumchannelblockers(flunarizine),anticonvulsants (valproate),5HT antagonist. Ref Harrison20th edition pg 2234